Liver biopsy is done through 8th ICS midaxillary line to avoid -
1. Lung
2. Pleural cavity
3. Subdiaphragmatic space
4. Gall bladder

Correct answer: 1. Lung

Explanation: Ans. is 'a' i.e., Lung The lower border of the pleura crosses the mid-axillary line at the level of 10th rib. The lower border of the lung crosses the mid-axillary line at the level of 8th rib. Thus a liver biopsy through the 8th Intercostal space would avoid the lung, but not the pleural cavity.